Cori's cycle is concerned with transport of -
1. Alanine
2. Glutamate
3. Lactate
4. None

Correct answer: 3. Lactate

Explanation: Ans. is 'c' i.e., Lactate Cori cycle Q or lactic acid cycleo Anaerobic glycolysis in muscles results in the production of lactate, which cannot be converted into glucose, as gluconeogenesis does not occur in muscles Q. Through blood, lactate is transported to the liver where it is oxidized to pyruvate. Pyruvate so produced, is converted to glucose by gluconeogenesis, which is then transported to the muscle. The glucose thus reformed from lactate again becomes available for energy purpose in skeletal muscle.Glucose-alanine cycle (Cahill cycle)o Because muscle is incapable of synthesizing urea, ct-amino groups of amino acids (i.e., ammonia) has be transported to liver, which is the major site of urea synthesis. Thus, glucose - alanine cycle serves two purposes : (i) alanine helps in gluconeogenesis, and (ii) alanine also transports a-amino groups of amino acids to liver (i.e., excretion of ammonia). Alanine Q is the major amino-acid released from muscle to liver during fasting Q (or starvation) to transport ammonia0 as well as for gluconeogenesis Q